Propranolol can be used in all of the following conditions except
1. Thyrotoxicosis
2. Variant angina
3. Migraine
4. Hypertension

Correct answer: 2. Variant angina

Explanation: Ans. (B) Variant angina(Ref: KDT 8th/e p161)Propranolol worsens variant angina, due to unopposed a receptor mediated coronary constriction.For indications of b -blockers, refer to text.